Enzyme involved in Variegate porphyria
1. Ferrochelatase
2. Protoporphyrinogen oxidase
3. Uroporphyrinogen decarboxylase
4. ALA dehydratase

Correct answer: 2. Protoporphyrinogen oxidase

Explanation: Enzyme InvolvedType Major Signs and SymptomsResults of Laboratory TestsProtoporphyrinogen oxidaseVariegate porphyria (hepatic)Photosensitivity, abdominal pain,neuropsychiatric symptomsUrinary ALA, PBG, and coproporphyrinIII and fecal protoporphyrinIX increasedRef: Harper's Biochemistry; 30th edition; Chapter 31 Porphyrins & Bile Pigments